All of the following are true about aortic aneurysm except:-
1. Saccular aneurysm involves whole circumference
2. True aneurysm involves all 3 layers
3. Atherosclerosis is the commonest cause
4. False aneurysm is not covered by all 3 layers

Correct answer: 1. Saccular aneurysm involves whole circumference

Explanation: Degenerative aneurysms ( caused by atherosclerosis) are MC AAA (90%) . True (all three layers of vessel are involved), false (do not have all three layers of vessel) Infected (mycotic) aneurysm are false aneurysm Dissecting aneurysm (dissection with aneurysmal dilatation of false lumen) Fusiform (symmetrical enlargement involving whole circumference of artery) Saccular (affect only part of the arterial circumference) have higher risk of rupture